'T' staging of Glottic cancer with fixed vocal cords is
1. T1
2. T2
3. T3
4. T4

Correct answer: 3. T3